Digitalis toxicity can cause:
1. Hyperkalemia
2. Nausea
3. Arrhythmias
4. All of the above

Correct answer: 4. All of the above

Explanation: Ref:KDT 6/e p498 Some early warning signs of overdose are confusion, loss of appetite, nausea, vomiting, diarrhea, or vision problems. Othersigns of overdose are changes in the rate or rhythm of the heartbeat (becoming irregular or slow), palpitations (feeling of pounding in the chest), or fainting.